A pregnant woman developed idiopathic cholestatic jaundice. The following condition is not associated:
1. Intense itching
2. SGOT, SGPT less than 60 IU
3. Serum bilirubin > 5mg/dl
4. Markedly |ed levels of alkaline phosphatase

Correct answer: 3. Serum bilirubin > 5mg/dl

Explanation: Intrahepatic Cholestasis of Pregnancy Onset - Third trimester Present with pruritis, icterus or both Lab findings : Sr. bilirubin level <5 mg/dL With minimal or no elevation in transaminases. Alkaline phosophatase levels are elevated. Histopathology: Mild cholestasis with bile plugs in the hepatocytes of the centrilobular regions. Treatment Ursodeoxycholic acid & Cholestyramine acid are used for pruritis